Maltese cross can be seen in:
1. Pneumocystis carinii
2. Leishmaniasis
3. Cryptococcosis
4. Babesiosis

Correct answer: 4. Babesiosis

Explanation: Ans. (D) Babesiosis(Ref: Robbins and Cotran Pathologic Basis of Disease 10th ed; pg. 379)BabesiosisBabesia microti and Babesia divergens are malaria like protozoans transmitted by ticksReservoir for Babesia microti - White footed mouseBabesia resembles malaria parasite but lacks hemozoin pigmentMalariaBanana shaped gametocytes can be seen in infection by Plasmodium falciparumLeishmaniasisIt can be:#Cutaneous leishmaniasis#Mucocutaneous leishmaniasis (also called espundia)#Visceral leishmaniasisExists as Promastigote and amastigote formsCryptococcosisCryptococcus appears as 5-10 mm yeast forms with thick gelatinous capsuleSpecial stain - MucicarminePneumocystisPneumocystis carinii pneumoniae produces pink frothy discharge.Cup shaped or boat shaped cysts can be seen